Resuscitation of term neonates should be initiated with how much oxygen concentration, if they require positive pressure ventilation?
1. 100%
2. 50%
3. 30%
4. 21%

Correct answer: 4. 21%

Explanation: Resuscitation of term neonates- initiated with room air (21 % O2) Preterm neonates- 21 to 30% O2 (intermediate concentration)